Radiation caries is an example of:
1. Early childhood caries.
2. Rampant caries
3. Exposure caries.
4. None of the above.

Correct answer: 2. Rampant caries